Relative risk is defined as-
1. Incidence of disease among exposed minus incidence of disease among non-exposed
2. Incidence of disease among non-exposed minus incidence of disease among exposed
3. Incidence of disease among non-exposed divided by incidence among exposed
4. Incidence of disease among exposed divided by incidence among non-exposed

Correct answer: 4. Incidence of disease among exposed divided by incidence among non-exposed

Explanation: Ans. is 'd' i.e., Incidence of disease among exposed divided by incidence among non-exposed * Relative risk is the ratio of the incidence of the disease (or death) among exposed and the incidence among nonexposed.RR =Incidence of disease among exposed----------------------------------Incidence of disease among nonexposed